Refsum's disease is due to accumulation of
1. C26-C38 polyenoic acids
2. C6-C10 o-dicarboxylic acids
3. Palmitic acid
4. Phytanic acid

Correct answer: 4. Phytanic acid

Explanation: Refsum disease is a rare neurologic disorder due to a metabolic defect that results in the accumulation of phytanic acid, which is found in dairy productsand ruminant fat and meat. Phytanic acid is thought to have pathological effects on membrane function, protein prenylation, and gene expression.Ref: Harper's Biochemistry; 30th edition; Chapter 22; Oxidation of Fatty Acids: Ketogenesis